Which of the following is a marker for neural tube defects –
1. ↑ Phosphatidyl Esterase
2. ↑ Pseudocholinesterase
3. ↑ Acetylcholinesterase
4. ↑ Butyrylcholinesterase

Correct answer: 3. ↑ Acetylcholinesterase